Diabetes control is best monitored by
1. Serum glucose
2. Post prandial blood glucose
3. HbA1AC
4. HbA2AC

Correct answer: 3. HbA1AC